In Neonatal Resuscitation, chest compression to ventilation ratio is:
1. 2:01
2. 3:01
3. 4:01
4. 5:01

Correct answer: 2. 3:01

Explanation: Chest compression: ventilation ratio used in neonatal resuscitation - 3:1 Note Components of NRPresuscitation include: (TABCD) T temperature: Maintain between 36.5 and 37.5 C A airway: Sniffing position Clear secretions if needed B breathing: Free flow O2 (maintain sats 91-95%), PPV (40-60 breaths /min), ETT C circulation: Chest compressions : Ventilation - 3:1 or 90:30; lower 1/3rd sternum; two thumb technique preferred) Chest compressions : Ventilation - 3:1 or 90:30; Lower 1/3rd sternum; 2 thumb technique preferred D drugs: Epinephrine, Volume expanders Algorithm states: HR < 100/min + no respirations - Positive pressure ventilation No response with PPV -Endotracheal intubation HR < 60/min-Chest compressions No response to chest compressions - Epinephrine